Which of the following structures, found external
to the bacterial cell wall, are involved in bacterial
attachment to cell surfaces?
1. Capsule
2. Flagella
3. Pill
4. Mesosomes

Correct answer: 3. Pill